Hanging in which body is fully suspended and feet are not touching the ground?
1. Partial hanging
2. Complete hanging
3. Homicidal hanging
4. Suicidal hanging

Correct answer: 2. Complete hanging

Explanation: HANGING ON THE BASIS OF SUSPENSION Hanging in which body is fully suspended and feet are not touching the ground is called complete hanging. Hanging in which feet or part of body touches the ground and the body is not fully suspended is called partial hanging.